Mid-day meal has:
1. 1/2 of protein and 1/3 of energy
2. 2/3 of energy and 1/3 of protein
3. 1/2 of protein and 1/2 of energy
4. 1/4 of energy and 3/4 of carbohydrate.

Correct answer: 1. 1/2 of protein and 1/3 of energy

Explanation: ANS. AThis is a direct question.# Mid-Day Meal Program* Supplements--1/3 of total energy and 1/2 of total protein requirements.* Also called school health program* Launched in 1961* It is under ministry of health.